Gastric lavage is allowed in which corrosive poisoning?
1. Paint thinner ingestion
2. Lysol ingestion
3. Crude toilet disinfectant ingestion
4. Battery acid ingestion

Correct answer: 2. Lysol ingestion

Explanation: Gastric lavage is contraindicated in corrosives except phenol and lysol in which gastric lavage can be done because they thicken the membrane and maintain leathery consistency. Gastric lavage is absolutely contraindicated in following condition Corrosive (except phenol & lysol) Convulsant patient Comatose patient Kerosene poisoning